You are performing the autopsy on a person suspected to have had hydrocution. Which of the following could be the cause of death?
1. The high voltage passing through the body causes cardiac arrest
2. Vagal stimulation causes cardiac arrest and death
3. Hemodilution and arrhythmia causes death
4. None of the above

Correct answer: 2. Vagal stimulation causes cardiac arrest and death

Explanation: In hydrocution (immersion syndrome / submersion inhibition) death occurs as a result of cardiac arrest which in turn is due to vagal inhibition of the heart. The cold water may stimulate nerve endings on the body surface, ear drum, nasal passage, larynx etc. leading to vagal stimulation resulting in cardiac death. Ref: Essentials of Forensic Medicine and Toxicology By Dr.K S Narayan Reddy, 21st Edition, Page 313